Which of the following amino acids is purely ketogenic-
1. Phenylalanine
2. Leucine
3. Proline
4. Tyrosine

Correct answer: 2. Leucine

Explanation: Ans. is 'b' i.e., Leucine GlucogenicKetogenicBoth glucogenic & ketogenico Alanineo Arginineo Aspargineo Aspartic acido Cysteineo Glutamineo Glutamic acido Glycineo Histidineo Methionineo Prolineo Serineo Threonineo Valineo Leucineo Lysineo Isoleucineo Phenylalaineo Tyrosino TryptophanNote : According to Harper 29(r)/e (P-282), lysine is both ketogenic and glucogenic. But all other textbooks have mentioned it as ketogenic.